In sicher's theory, suture acts as
1. Has independent growth potential
2. Dependent on cranial base
3. Used for growth adjustment
4. None of above

Correct answer: 1. Has independent growth potential